Following is a bacterial infection
1. Pyoderma gangrenosum
2. Impetigo herpitformis
3. Pitted keratolysis
4. Mycosis fungoides

Correct answer: 3. Pitted keratolysis

Explanation: Pitted keratolysis shallow pits on palms and soles causative organism: coryneform bacteria most common in: hyperhidrotics, marshy lands, housewives treatment: topical antibacterials pyoderma gangrenous: neutrophilic dermatosis of skin and mucous membranes impetigo herpitiformis: pustular psoriasis of pregnancy mycosis fungicides: cutaneous T cell lymphoma iadvl textbook of dermatology page 237